Intraepidermal blisters are seen in – a) Bullous pemphigoidb) Pemphigus folliaceousc) Dermatitis herpatiformisd) Bullous SLEe) Bullous impetigo
1. ab
2. ad
3. bc
4. be

Correct answer: 4. be